Most common fractured bone
1. Nasoethmoid bone
2. Nasal bone
3. Zygomatic bone
4. Mandible

Correct answer: 2. Nasal bone

Explanation: Facial trauma, also called maxillofacial trauma, is any physical trauma to the face.

Commonly injured facial bones include the nasal bone, maxilla, and the mandible.

The mandible may be fractured at its symphysis, body, angle, ramus, and condyle.

Nasal fracture is the most common facial fracture and the third most common fracture of the skeleton overall.
Facial fractures occur for a variety of reasons related to sports participation:

contact between players (eg, a head, fist, elbow); contact with equipment (eg, balls, pucks, handle bars); or contact with the environment, obstacles, or a playing surface (eg, wrestling mat, gymnastic equipment, goalposts, trees).

Facial fractures may be associated with head and cervical spine injuries and it requires a significant amount of force.